Which of the following develops from an unerupted tooth?
1. Dental cyst
2. Dentigerous cyst
3. Both of the above
4. None of the above

Correct answer: 2. Dentigerous cyst

Explanation: Dentigerous (follicular) cysts are epithelial-lined, developmental, odontogenic cysts. Fifteen to eighteen percent of jaws cysts are dentigerous, surround the crowns, and attach at the cementoenamel junction of unerupted teeth. The lower third molars and the upper canines are the most commonly involved teeth. The cyst develops subsequent to an accumulation of fluid between the remnants of the enamel organ and the contiguous tooth crown. Ref: Smith R.A. (2012). Chapter 25. Jaw Cysts. In A.K. Lalwani (Ed), CURRENT Diagnosis & Treatment in Otolaryngology--Head & Neck Surgery, 3e.